The type of mammary ductal carcinoma is situ (DCIS) most likely to result in a palpable abnormality in the breast is
1. Apocrine DCIS
2. Neuroendocrine DCIS
3. Well differentiated DCIS
4. Comedo DCIS

Correct answer: 4. Comedo DCIS

Explanation: Ans. is 'd' Comedo DCIS Ductal carcinoma in situ (DCIS) can be divided into two types : Comedo carcinomas and Non-comedocarcinomas DCIS are usually detected as calcifications on mammography but comedo carcinomas can present as palpable nodules.